which statemenr is false regarding ascending limb of loop of henle?
1. its highly permeable to sodium
2. channel is Na+K+ 2cl- defect leads to pendred syndrome
3. its permeable to magnesium
4. its a part of counter current multiplier

Correct answer: 2. channel is Na+K+ 2cl- defect leads to pendred syndrome

Explanation: COUNTER CURRENT MECHANISM IN KIDNEY * long loop of Henle establishes a vertical osmotic gradient (Countercurrent multiplier) their vasa recta preserve this gradient while providing blood to renal medulla Countercurrent exchanger) collecting ducts of all nephrons use the gradient in conjunction with the hormone vassopressin, to produce urine of varying concentration (osmotic equilibrating device) Collectively this entire functional organization is known as medullary countercurrent system. ascending limb of loop of henle is permeable to sodium,potassium , chloride and magnesium its a part of CCM- dilution segment defect of na+k+2cl- is called barter syndrome ref: guyton and hall